What diameter of cerebellar hematoma will require surgical evacuation
1. > 0.5 cm
2. > 1 cm
3. > 2 cm
4. > 3 cm

Correct answer: 4. > 3 cm

Explanation: Most cerebellar hematomas >3 cm in diameter will require surgical evacuation. If the patient is alert without focal brainstem signs and if the hematoma is <1 cm in diameter, surgical removal is usually unnecessary. Patients with hematomas between 1 and 3 cm require careful observation for signs of impaired consciousness, progressive hydrocephalus, and precipitous respiratory failure.Reference: Harrison 19th edition 2585